Breast Feeding Week is celebrated on:
1. 1st week of March
2. 1st week of July
3. 1st week of August
4. 1st December

Correct answer: 3. 1st week of August

Explanation: Ans. (c) 1st week of August I Ref. Disaster Nursing and Emergency Preparedness by TG Veenema, 3/e p2]* Theme for WBFW 2014: Breast feeding - A winning goal for life!